If vertical root fracture occurs in a buccolingual plane in multirooted tooth through furcation, what should be the treatment indicated?
1. RCT
2. Hemisection
3. Extraction
4. Both AB

Correct answer: 4. Both AB

Explanation: Treatment of vertical root fracture involves extraction in most of the cases. 
In multirooted teeth, root resection or hemisection can be tried with root canal treatment.